Left homonymous hemianopia is due to a lesion in:
1. Optic chiasma
2. Left optic radiation
3. Temporal lobe
4. Right optic tract

Correct answer: 4. Right optic tract

Explanation: Ans: d (Right optic tract) Ref: Kanski's Clinical Ophthalmology 6th edition and Harrison's Online Explanation: Visual field defect no Name Site of lesion 1 Monocular field defects Optic nerve 2 Binasal hemianopia lateral parts of optic chiasma 3 Bitemporal hemianopia Central part of optic chiasma 4 Homonymous hemoanopia, incongruous, macular involved Optic tract 5 Superior homonymous quadrantanopia Temporal lobe 6 Inferior homonymous quadrantanopia Parietal lobe 7 Homonymous hemianopia, congruous, macular sparing Occipital cortex